Suicidal tendencies are most common in -a) Involutional depressionb) Reactive depressionc) Psychotic depressiond) Childhood depression
1. a
2. ac
3. ad
4. b

Correct answer: 2. ac

Explanation: Suicide is common in :- Endogenous depression, psychotic depression, involutional (old age) depression.